What is the first step taken in case of multiple injuries of face and neck?
1. Blood transfusion
2. IV fluids
3. Reconstruction
4. Maintenance of airways

Correct answer: 4. Maintenance of airways